Antidepressant, which is selective 5HT reuptake inhibitor is:
1. Fluoxetine
2. Imipramine
3. Desipramine
4. Amitriptyline

Correct answer: 1. Fluoxetine

Explanation: Ans. is 'a' Fluoxetine Fluoxetine is a selective serotonin reuptake inhibitors Other selective serotonin reuptake inhibitor are:- Fluvoxamine* Paroxetine*